A gastric ulcer is said to be refractory when it fails to heal after therapy for:
1. 6 weeks
2. 8 weeks
3. 12 weeks
4. 14 weeks

Correct answer: 3. 12 weeks

Explanation: A gastric ulcer that fails to heal after 12 weeks and a duodenal ulcer does not heal at 8 weeks of therapy should be considered refractory. Cause of refractory ulcers: Malignancy Zollinger Ellison syndrome Cigarette smoking Ischemia Crohn's disease Lymphoma Eosinophilic gastroenteritis Infections (TB,CMV) Ref: Harrisons principles of internal medicine, 18th edition, Page: 2452